what is the drug of choice for management of dystonia
1. trihexyphenidyl
2. propanolol
3. vitamin E
4. clonazepam

Correct answer: 1. trihexyphenidyl

Explanation: Acute dystonia * <48 hours of starting antipsychotics * M.C in======Younger black males * If a patient develops dystonia he is more prone for eps Patient considers this as an Allergic reaction , thereby may stop drugs Layryngeal dystonia is a Psychiatric emergency, should be treated with IV lorazepam TREATMENT * Diphenhydramine * Benztropine mesylate * Prophylactic anticholinergics helps Ref. kaplon and sadock, synopsis of psychiatry, 11 th edition, pg no. 925